Which of the following condition is associated with normal anion gap acidosis ?
1. Lactic acidosis
2. Keto acidosis
3. Methanol Poisoning
4. Hyperchloremic acidosis

Correct answer: 4. Hyperchloremic acidosis

Explanation: All evaluations of acid-base disorders should include a simple calculation of the AG; it represents those unmeasured anions in plasma (normally 10 to 12 mmol/L) and is calculated as follows: AG = Na+ - (CI- + HCOs ). When acid anions such as acetoacetate and lactate accumulate in extracellular fluid, the AG increases causing a high AG acidosis. An increase in the AG is most often due to an increase in unmeasured anions and less commonly is due to a decrease in unmeasured cations (calcium, magnesium, potassium). CAUSES OF HIGH-ANION-GAP METABOLIC ACIDOSIS: Lactic acidosis Toxins Ketoacidosis Ethylene glycol Methanol Propylene glycol Diabeticketoacidosis Alcoholic Salicylates Starvation Renal failure (acute and chronic)